Descending order of types of viruses causing paralytic polio
1. Type 1, type 2, type 3
2. Type 2, type 1. type 3
3. Type 1, type 3, type 2
4. Type 2, type 3, type 1

Correct answer: 3. Type 1, type 3, type 2

Explanation: (C) Type 1, type 3, type 2 # POLIOMYELITIS> Definition: Poliomyelitis is an acute infections disease caused by enterovirus.> Poliovirus is an RNA virus with three distinct serotypes v/z.1,2 and 3.> Type 1 is the most frequent and type 2, the least common cause of paralytic poliomyelitis.